Perjury under section IPC -
1. 193
2. 197
3. 201
4. 202

Correct answer: 1. 193

Explanation: Perjury means wilful giving of false/ fabricated evidence by a witness under oath. Section 193 : Punishment for false evidence: Classification of Offence: Punishment :Imprisonment for 7 years and fine. Cognizable or Non-cognizable :Non-cognizable Bailable or Non-bailable :Bailable By Which Court Triable :Magistrate of the First class Punishment :Imprisonment for 3 years and fine. Cognizable or Non-cognizable :Non-cognizable Bailable or Non-bailable :Bailable By Which Court Triable :Any Magistrate Whoever intentionally gives false evidence in any stage of a judicial proceeding, or fabricated false evidence for the purpose of being used in any stage of a judicial proceeding, shall be punished with imprisonment of either description for a term which may extend to seven years, and shall also be liable to fine; and whoever intentionally gives or fabricates false evidence in any other case, shall be punished with imprisonment of either description for a term which may extend to three years, and shall also be liable to fine. Indian Penal Code 1860: Chapter XI : Of False Evidence And Offences Against Public Justice : Section 191 IPC Giving false evidence Section 192 IPC Fabricating false evidence Section 193 IPC Punishment for false evidence Section 197 IPC Issuing or signing false certificate Section 201 IPC Causing disappearance of evidence of offence, or giving false information to screen offender Section 202 IPC Intentional omission to give information of offence by person bound to inform Ref:1.Dr K.S.Narayan Reddy, The Essentials of Forensic Medicine & Toxicology, 34th edition, pg. 13. 2. The Indain Penal Code, 1860.